Space of Retzius is found
1. Behind cervix
2. In front of rectum
3. In front of bladder
4. Behind rectum

Correct answer: 3. In front of bladder

Explanation: In front of bladderIt is retropubic or prevesical space that is extraperitoneal and lies between urinary bladder and pubic symphysis.